Hyperkalemia presents with all except?
1. Periodic paralysis
2. Hemodynamic collapse
3. Ileus
4. Slow idioventricular rhythms

Correct answer: 3. Ileus

Explanation: Hyperkalemia from a variety of causes can also present with ascending paralysis this is known as secondary hyperkalemic paralysis to differentiate it from familial hyperkalemic periodic paralysis (HYPP). The presentation may include diaphragmatic paralysis and respiratory failure. Cardiac rhythm disorder with hyperkalemia includes slow indioventricular rhythm. Hypokalemia results in slow repolarization of skeletal muscle, impairing the capacity to contract: weakness and even paralysis may ensue. The paralytic effects of hypokalemia on intestinal smooth muscle may cause intestinal ileus.